Which of the following is not a function of sodium hypochlorite
1. Organic tissue solvent
2. Bleaching
3. Antibacterial
4. Inorganic tissue solvent

Correct answer: 4. Inorganic tissue solvent